All are recognised features of Tourette's syndrome, EXCEPT:
1. Motor Tics
2. Ataxia
3. Coprolalia
4. Predominantly affects males

Correct answer: 2. Ataxia

Explanation: Tourette's syndrome is a neurobehavioral disorder named after the French neurologist Georges Gilles de la Tourette. It predominantly affects males. TS is characterized by multiple motor tics often accompanied by vocalizations. Associated behavioral disturbances include anxiety, depression, attention deficit hyperactivity disorder, and obsessive-compulsive disorder. Ref: Harrisons Principles of Internal Medicine, 18th Edition, Page 3332